McAfee and Johnson regimen is used for:
1. Eclampsia
2. Placenta previa
3. Placental abruption
4. Placenta accrete

Correct answer: 2. Placenta previa

Explanation: Ans. (b) Placenta previaRef.: D.C. Dutta 8th ed. / 290, Williams 22nd ed./822-823* MacAfee and Johnson Regimen is a Conservative Management in Placenta Previa: This consists of complete bed rest, tocolysis, and close observation of patient.* Steroids are generally given to enhance lung maturity.* To undertake this regimen (to wait and watch) all three criteria should be fulfilled:# Mother should be hemodynamically stable# There should be no fetal distress# Pregnancy less than 36 weeks of gestation.* If any of the criteria is not met then the patient should be delivered by LSCS.Also Know* Classification of abruption placentae:/ classification* Zuspan regimen for the treatment of eclampsia using Magnesium sulphate* Other regimens using MgSO4 for treatment of eclampsia are# Pritchard s regimen# Sibai regimen* Most appropriate treatment of eclampsia: MgSO4